Which of the following is/are bile acids?
1. Cholic acid
2. Lithocholic acid
3. Deoxycholic acid
4. All of the above

Correct answer: 4. All of the above

Explanation: Primary bile acids are cholic acid and chenodeoxycholic acid, which are synthesized from cholesterol in liver. In the intestine some of the primary bile acids are converted into secondary bile acids, i.e., deoxycholic acid (formed from cholic acid) and lithocholic acid (derived from chenodexoxycholic acid). Glycine and taurine conjugates of these bile acids are called as bile salts. For example, cholic acid is a bile acid, and its glycine conjugate (glycocholic acid) is a bile salt. Bile salts = Sodium or potassium + Amino acid (glycine or taurine) + Bile acids (Cholic acid or chenodeoxycholic acid) So, Bile salts are : - Sodium + glycine + cholic acid = Sodium-glyco-cholic acid (sodium-glyco-cholate) Sodium + taurine + cholic acid = Sodium-tauro-cholic acid (Sodium-tauro-cholate) Sodium + glycine + chenodeoxycholic aicd = Sodium-glyco-chenodeoxycholate Sodium + taurine + chenodeoxycholic acid = Sodium-tauro-chenodeoxycholate o Similarly potassiun bile salts are potassium-glycocholate, potassium-taurocholate, potassium-glycochenodexoxycholate, and potassium-tauro-chenodexoxycholate.